Development of attraction in young girls towards their father:
1. Oedipus complex.
2. Electra complex
3. Attraction complex.
4. There are no such attractions exists.

Correct answer: 2. Electra complex